A dead born foetus does not have
1. Rigor mortis at birth
2. Adipocere formation
3. Maceration
4. Mummification

Correct answer: 2. Adipocere formation

Explanation: B i.e. Adipocere formation